Superficial thrombophlebitis is seen in:
1. AV fistula
2. Raynaud's disease
3. Buerger's disease
4. Aneurysm

Correct answer: 3. Buerger's disease

Explanation: Ans. C: Buerger's disease Risks for superficial thrombophlebitis include: Chemical irritation of the area Disorders that involve increased blood clotting Infection Pregnancy Sitting or staying still for a prolonged period Use of birth control pills Varicose veins Superficial thrombophlebitis may be associated with: Abdominal cancers (such as pancreatic cancer) Deep vein thrombosis Factor V Leiden Prothrombin gene mutation Thromboangiitis obliterans